The  drug recently approved to be used along with phenteramine in the management of obesity is
1. Lorcaserin
2. Orlistat
3. Topiramate
4. Sibutramine

Correct answer: 3. Topiramate